Regarding the action of insulin, which of the following is true?
1. Decreased K+ uptake in adipose tissue
2. Increased protein catabolism in Muscle
3. Activation of hormone sensitive lipase
4. Decreased ketogenesis in liver

Correct answer: 4. Decreased ketogenesis in liver

Explanation: Insulin decreases ketogenesis in the liver. In the absence of insulin (Type-1 DM), diabetic ketosis may occur. Effect of insulin on various tissues: Tissue Increases Decreases Adipose tissue Increased glucose entry Increased fatty acid synthesis Increased glycerol phosphate synthesis Increased triglyceride deposition Increased K+ uptake Inhibition of hormone-sensitive lipase Muscle Increased glucose entry Increased glycogen synthesis Increased aminoacid uptake Increased protein synthesis in ribosome Increase ketone uptake Increase K+ uptake Decrease protein catabolism Decrease release of glucogenic aminoacids Liver Increased protein synthesis Increased lipid synthesis Increased glycogen synthesis and glycolysis Decrease ketogenesis Decreased glucose output due to decreased gluconeogenesis General Increased cell growth Ref: Ganong's Review of Medical Physiology 26th edition PGno: 426